WRONG about ileum as compared with jejunum is
1. Short club shaped Villi
2. Long vasa recta
3. More lymphoid nodules
4. More fat in mesentery

Correct answer: 2. Long vasa recta

Explanation: Jejunum has long and sparse vasa recta as compared to ileum. Jejunum are thick walled and peritoneal windows are transparent as compared to ileum. Peyer patches are present in ileum which are absent in jejunum. Jejunum have 1 or 2 rows of arterial arcades whereas ileum have 4 to 5 arterial arcades Ileum have short club shaped villi. Ileum have more fat in mesentry.